Hypoxia due to the slowing of circulation is seen in which of the following?
1. Anemic hypoxia
2. Histotoxic hypoxia
3. Hypoxic hypoxia
4. Stagnant hypoxia

Correct answer: 4. Stagnant hypoxia

Explanation: Hypoxia is O2 deficiency at the tissue level. Traditionally, hypoxia has been divided into four types.Type of hypoxiaSignificanceHypoxic hypoxia The PO2 of the arterial blood is reduced.Anemic hypoxia The arterial PO2 is normal but the amount of hemoglobin available to carry O2 is reducedStagnant hypoxia The blood flow to a tissue is so low that adequate O2 is not delivered to it despite a normal PO2 and hemoglobin concentrationHistotoxic hypoxia The amount of O, delivered to a tissue is adequate. But, because of the action of a toxic agent, the tissue cells cannot make use of the O2 supplied to them.Effects of hypoxia on cellsHypoxia causes the production of transcription factors (hypoxia-inducible factors; HIFs). In hypoxic cells, the subunits dimerize with subunits, and the dimers activate genes that produce angiogenic factors and erythropoietin.(Refer: Ganong's Review of Medical physiology 24th edition,pg no: 649,653)